Most common intracranial tumor in adults is -
1. Astrocytoma
2. Metastases
3. Meningioma
4. Oligodendroglioma

Correct answer: 2. Metastases

Explanation: Ans. is 'b' i.e., Metastases * Brain metastases are the most common intracranial tumors in adults and account for more than one half of the brain tumors.* The most common mechanism is by hematogenous route.* The most common site is at the junction of grey and white matter.